Purple coloured reamer is numbered:
1. 8
2. 10
3. 15
4. 30

Correct answer: 2. 10